All actions of chlorpromazine are based on its antidopaminergic property EXCEPT:
1. Antipsychotic
2. Hyperprolactinemic
3. Antiemetic
4. Hypotensive

Correct answer: 4. Hypotensive